Mixed connective tissue disease includes all the following except:
1. Polymyositis
2. RA
3. Osteoarthritis
4. Systemic sclerosis

Correct answer: 3. Osteoarthritis

Explanation: Mixed connective tissue diseases (MCTD) are sometimes used to describe the disease seen in a group of patient who are identified clinically by the coexistence of features suggestive of SLE. Polymyositis, Rheumatoid arthritis and systemic sclerosis and serologically by high titres of antibodies to RNP Particle containing UI RNP. Two factors are important in lending distinctiveness to MCTD are:
The paucity of renal disease.
 
Extremely good response to corticosteroid. Some important points about connective tissue disorder:
 
Antinuclear antibodies in autoimmune disease.
 
Anti double stranded DNA → S££ (more specific than anti SM antibody).
 
Anti Histone Antibodies → Z)rz/g induced lupuserythrocytosis
 
Anti sm antibody → SLE
 
Anti DNA topoisornerasc antibody—sclerosis
 
Antibodies of Ribonucleoprotein Antigen containing ULRNP → Mixed connective tissuedisorder.
 
Antimitochondrial antibody → Primary biliarycirrhosis.